A 35 year old man comes to the clinic with a skin lesion following a cat bite 1 day back. On examination he was found to have cellulitis of the affected area. Which of the following is the most likely causative organism?
1. F.tularensis
2. Pasteurella multocida
3. Capnocytophaga canimorsus
4. Bartonella henselae

Correct answer: 2. Pasteurella multocida

Explanation: Pasteurella multocida is the common cause of cutaneous infection following cat or dog bite. Pasteurella multocida is a bipolar-staining, gram-negative coccobacillus that colonizes the respiratory and gastrointestinal tracts of domestic animals. Within 24hrs of bite patients develop cellulitis and bacteremia. Pasteurella multocida is sensitive to amoxicillin, penicillin, amoxicillin-clavulanate, tetracyclines and fluoroquinolones. Ref: Barlam T.F., Kasper D.L. (2012). Chapter 146. Infections Due to the HACEK Group and Miscellaneous Gram-Negative Bacteria. In D.L. Longo, A.S. Fauci, D.L. Kasper, S.L. Hauser, J.L. Jameson, J. Loscalzo (Eds), Harrison's Principles of Internal Medicine, 18e.